Which type of Insulin is used to manage a case of Diabetic ketoacidosis?
1. Regular
2. Lispro
3. Glargine
4. Aspart

Correct answer: 1. Regular

Explanation: Drug of choice for DKA - IV/ SC regular insulin IV NS 5L/ 24 hours Bed time Insulin - Glargine IV Insulin - 1. Acute Hyperkalemia 2. DKA 3. Hyperosmolar coma SC Insulin - DMI